Definitive host for Echinococcus granulosus is:
1. Man
2. Dog
3. Cattle
4. Pig

Correct answer: 2. Dog

Explanation: Ans: B (Dog) Ref : Parija SC. Textbook of Medical Parasitology. 3rd Edition. London: John Wiley & Sons: 2004. Pg 221Explanation:Echinococcus GranulosusCauses cystic echinococcosis or hydatid disease in man and other herbivorous animals.Adult tape worms are found attached to the wall of the intestinal mucosa of dogs and wild canines - Definitive hosts.Larval stage is found in humans and other herbivorous animals - Intermediate hosts.Man is an accidental intermediate host.Man acquires the infection by ingestion of food contaminated with infected dog faeces or while handling infected dogs.